All of the following are inducers of the microsomal enzyme system except?
1. Carbamazepine
2. Phenytoin
3. Phenobarbitone
4. Ticlopidine

Correct answer: 4. Ticlopidine